In which condition interna! podalic version is done-
1. Transverse lie in 2nd twins
2. Breech presentation
3. Both
4. None

Correct answer: 1. Transverse lie in 2nd twins

Explanation: Ans. is 'a' i.e., Transverse lie in 2nd twins "Internal version is hardly indicated in singleton pregnancy in present day obstetric practice. Its only indication being the transverse lie in case of the second baby of twins".